Jacobson nerve supplies:
1. Nasal mucosa
2. Middle ear mucosa
3. Or pharyngeal mucosa
4. None of the above

Correct answer: 2. Middle ear mucosa